Watson Swartz Test is usually used to diagnose -
1. Hemochromatosis
2. Acute intermittent porphyria
3. Wilson's disease
4. All of the above

Correct answer: 2. Acute intermittent porphyria

Explanation: Ans. is 'b' Acute Intermittent porphyria (Ref Taber's Dictionary, p 2154, Nelson 17/e, p 501).Watson Swartz TestIt is a test used in acute intermittent porphyria to differentiate between porphobilinogen from urobilinogen*."This test is widely used as a screening test for urinary porphobilinogen. While this test is highly sensitive it is neither specific nor quantitative and results must be confirmed with chromatography "